Not a drug recommended for P. falciparum is ?
1. Quinine
2. Ciprofloxacin
3. Artemether
4. Doxycycline

Correct answer: 2. Ciprofloxacin

Explanation: Ans. is 'b' i.e., Ciprofloxacin